Hemodialysis is used in all EXCEPT:
1. Barbiturates
2. Organophosphates
3. Salicylates
4. Theophylline poisoning

Correct answer: 2. Organophosphates

Explanation: B i.e. Organophosphates